Which of the following has least chance to become oral cancerous lesion?
1. Erythroplakia
2. OSMF
3. Leukoplakia
4. Candidiasis

Correct answer: 4. Candidiasis